"Head light" sign is seen in
1. Tinea capitis
2. Dermatofibroma
3. Atopic dermatitis
4. Alopecia areata

Correct answer: 3. Atopic dermatitis

Explanation: Perioral, periorbital and perinasal pallour seen in Atopic dermatitis is called as "Head light" sign.